The primary cause of anemia in chronic kidney disease (CKD) is:
1. Chronic inflammation
2. Iron deficiency
3. Erythropoetin deficiency
4. Diminished red blood survival

Correct answer: 3. Erythropoetin deficiency

Explanation: All are causes of anemia in CKD, the primary cause is insufficient production of erythropoetin by the diseased kidneys. Other causes are; Bleeding diathesis Hyperparathyroidism/bone marrow fibrosis Folate or vitamin B12 deficiency Hemoglobinopathy Ref: Harrisons principles of internal medicine, 18th edition, Page: 2316.